Complications of zidovudine therapy are : a) Nausea and vomiting b) Anemia c) Steatosis d) Nephrotoxicity e) Cardiotoxicity
1. abc
2. bd
3. c
4. ad

Correct answer: 1. abc